Tinel's sign is positive in
1. Peripheral nerve regeneration
2. Tendon injury
3. Tenosynovitis
4. Rheumatoid arthritis

Correct answer: 1. Peripheral nerve regeneration

Explanation: (A) Peripheral nerve regeneration # Tinel s sign: Tinel's sign is elicited as follows:> Tap the injured nerve along its course starting peripherally.> The point at which the patient feels tingling sensation along the course of the nerve indicates that recovery has started and has reached that point.> Also seen in comparision of nerve either by neuromas or entrapment.